ICDS was Launched at -
1. Community development block
2. Town level
3. City level
4. District level

Correct answer: 1. Community development block

Explanation: Ans. is 'a' i.e., Community' development blocko ICDS was launched on 2nd October 1975 in 33 Community development block.o ICDS programme is a globally recognized community' based early child care programme, which addresses the basic interrelated needs of yound children, expectant and nursing mothers and adolescent girls across the life cycle, in a holistic manner.2. ICDS -Beneficiaries are : 1) Pre-schoolchildren 2) Pregnant mother 3) Lactating mothers 4) Adolescent girlsServices delivered - - Supplementary nutrition - Vit A prophylaxis - Iron & folic acid.Worker - Anganwadi workers (at village level ) each covering a population of 1000.Note:o The Community development block is a rural area earmarked for administration and development in India. The area is administred by a Block Development Officer.o A community development block covers several gram panchayats, local administrative unit at the village level.